Chassaignac's tubercle' is -
1. Erb's point
2. Carotid tubercle on C6 vertebra
3. Found on first rib
4. Medial condyle of humerus

Correct answer: 2. Carotid tubercle on C6 vertebra

Explanation: Chassaignac's tubercle (carotid tubercle) is the other name of anterior tubercle of transverse process of C6 vertebra.